False about pendred syndrome is?
1. 7q mutation
2. Goitre
3. Associated with thyroglossal cyst
4. Congenital sensorineural loss

Correct answer: 3. Associated with thyroglossal cyst

Explanation: Pendred syndrome is Congenital sensorineural loss + goitre.